Which of the following statements regarding live vaccines is false?
1. Two live vaccines cannot be administered simultaneously
2. Booster doses are not required when live vaccines are administered
3. Single dose gives life long immunity
4. Live vaccine contains both major and minor antigens

Correct answer: 1. Two live vaccines cannot be administered simultaneously

Explanation: When the administration of two live vaccines is mandatory, it can be given simultaneously but either: ? at different sites of injection or ? at an interval of at least 3 weeks Ref: Park's Textbook of Preventive and Social Medicine By K. Park, 19th Edition, Page 97; Immunology for The Health Sciences By Nicholas J. Vardaxis, Pages 101-4